Local anaesthesia causing metheaEUR' moglobinemia
1. Procaine
2. Prilocaine
3. Etiodicaine
4. Ropivacaine

Correct answer: 2. Prilocaine

Explanation: Prilocaine